Eales' disease is best treated with:
1. Antitubercular drugs
2. Steroids
3. Antibiotic drops
4. Antibiotics systemically

Correct answer: 2. Steroids

Explanation: Ans. Steroids